Primary hypercholesterolemia is ?
1. Type I
2. Type Ha
3. Type IIb
4. Type III

Correct answer: 2. Type Ha

Explanation: Ans. is 'b' i.e., Type Ha